A non-symmetrical frequency distribution is known as -
1. Skewed distribution
2. Normal distribution
3. Cumulative frequency distribution
4. All

Correct answer: 1. Skewed distribution

Explanation: Ans. is 'a' i.e., Skewed distribution o There are variations in naturally occuring data (e.g. heights of the individuals) or when data collected to formulate or test, the cause and effect hypothesis. o It is important to know the frequencies of value where they are distributed, i.e. frequency distribution.